A patient with severe shoulder pain resulting from inflammation is not responding to treatment with naproxen. You started a course of treatment with oral dexamethasone. What is the basis that the glucocorticoid will be more effective as an anti-inflammatory agent
1. Glucocorticoids inhibit both prostaglandin production and inflammatory cells.
2. Glucocorticoids inhibit biosynthesis of both COX-1 and COX-2.
3. Glucocorticoids will reduce the edema in the inflamed area
4. Glucocorticoids are more potent inhibitors of cyclooxygenase than naproxen.

Correct answer: 1. Glucocorticoids inhibit both prostaglandin production and inflammatory cells.

Explanation: Inflammatory responses:- Mech of action:- Irrespective of the type of injury or insult, the attending inflammatory response is suppressed by glucocorticoids. The action is nonspecific and covers all components and stages of inflammation. This includes attenuation of--increased capillary permeability, local exudation, cellular infiltration, phagocytic activity and late responses like capillary prolife- ration, collagen deposition, fibroblastic activity and ultimately scar formation. This action is direct and can be restricted to a site by local administration. The cardinal signs of inflammation--redness, heat, swelling and pain are suppressed. Glucocorticoids interfere at several steps in the inflammatory respons but the most important overall mechanism appears to be limitation of recruitment of inflammatory cells at the local site and production of proinflammatory mediators like PGs, LTs, PAF through indirect inhibition of phospholipase A2. Ref:- kd tripathi; pg num:-285,286